Liver biopsy shows fatty change in
1. Marasmus
2. Marasmic kwashiorkor
3. Nutritional dwarfism
4. Kwashiokor

Correct answer: 4. Kwashiokor

Explanation: clinical finding marasmus kwashiorkor occurance more common less common edema absent present activity active apathetic appetite good poor liver enlargement absent present,fatty liver due to deposition of triglycerides mortality less than kwashiorkar high in early stage recovery recover early long to recover infection less prone more prone Ref : ESSENTIAL PEDIATRICS,O.P.GHAI,PG NO:66, 7th edition